5 HT 1 agonists used as ?(
1. Anti anxiety drugs
2. Antipsychotic drugs
3. GERD
4. Chemotherapy induced vomiting

Correct answer: 1. Anti anxiety drugs

Explanation: Ans. is 'a' i.e., Anti anxiety drugs 5-HT IA agonists (Buspiron, ipsapirone) act as antianxiety drugs.